Reversible pulpitis change to irreversible pulpitis primarily because of:
1. Vascular strangulation
2. Reduced host resistance
3. Invasion of microorganisms
4. An increase in microbial virulence

Correct answer: 3. Invasion of microorganisms